Which of the following amino acid has a high risk for CHD (Coronary heart diseases):
1. Homocysteine
2. Methionine
3. Glycine
4. None of the above

Correct answer: 1. Homocysteine

Explanation: Ans. A. HomocysteineHomocysteine is an amino acid formed during the biosynthetic pathway of cysteine from methionine. People with high serum levels of homocysteine have an unusually risk for CHD and arteriosclerosis. The molecular basis is not known, but it damage the cells lining blood vessels and increases growth of vascular smooth muscle. It can be measured by Gas chromatography, HPLC and immunoassay.